All of the following drug act on ionic channels EXCEPT:
1. Valproate
2. Insulin
3. Glibenclamide
4. Diazepam

Correct answer: 2. Insulin

Explanation: ANSWER: (B) InsulinREF: KDT 6th edition various pages (394, 256, 266)For valproate mechanisms of action see previous questionBinding of insulin to a subunit if insulin receptor induces the aggregation and internalization of the receptor along with the bound insulin molecule. This activates tyrosine kinase activity if (3 subunit.Sulfonylureas (Glibenclamide) provoke a brisk release if insulin from pancreas. They act on the so called sulfonylurea receptors on the pancreatic b cells membrane- causes' depolarization by reducing conductance of ATP sensitive K+ channels. This enhances Ca2+ influx - degranulation.BZD (Diazepam) act by enhancing pre synaptic/post synaptic inhibition through a specific BZD receptor which is an integral part of the GABAA receptor - Cl- channel complex.